Abnormalities of bone metabolism is associated with excess of which vitamins
1. Vitamin A
2. Thiamine
3. Vitamin B12
4. All

Correct answer: 1. Vitamin A

Explanation: Answer is A (Vitamin A ): Hypercalcemia is associated with Vitamin A intoxication due to increased / high bone turnover and Vitamin D intoxication.